Most common complication of ileostomy is:
1. Ischemic necrosis
2. Skin irritation
3. Prolapse
4. Parastomal hernia

Correct answer: 2. Skin irritation

Explanation: - Overall M/c complication of ileostomy -Skin excoriation / dermatitis - MC early complication of ileostomy - Ischemia / necrosis - MC complication of both end colostomy and loop colostomy - Parastomal hernia - Parastomal hernia is more common in END colostomy (due to extensive dissection) - Prolapse is more common in LOOP colostomy (due to larger opening)